The most common condition of inherited blindness due to mitochondrial chromosomal anomaly is-
1. Retinopathy of prematurity
2. Leber's Hereditary Optic neuropathy
3. Retinitis pigmentosa
4. Retinal detachment

Correct answer: 2. Leber's Hereditary Optic neuropathy

Explanation: Leber's hereditary optic neuropathy is the only condition amongst the options provided that is caused by a mitochondrial chromosomal anomaly and hence is the answer here.